The time interval between diagnosis by early detection and diagnosis by other means
1. Incubation period
2. Lead time
3. Serial interval
4. Latent period

Correct answer: 2. Lead time

Explanation: Ans: bRef: Park, 17th ed, p. 109 & 18th ed, p. 113, 114